Chronic, sterile inflammation of meibomian gland is seen in:
1. External hordeolum
2. Internal hordeolum
3. Chalazion
4. Stye

Correct answer: 3. Chalazion

Explanation: Ans. C : Chalazion A hordeolum, or stye, is an acute, localized, pyogenic (usually staphylococcal) infection or abscess of the eyelid that may be external or internal. Most hordeola are external and result from obstruction and infection of an eyelash follicle and adjacent glands of Zeis or Moll's glands. Follicle obstruction may be associated with blepharitis. An internal hordeolum, which is very rare, results from suppurative inflammation of a meibomian gland. Sometimes cellulitis accompanies hordeola Chalazion/Meibomian or Tarsal cyst is chronic, sterile and lipogranulomatous inflammation of meibomian gland.